All of following features are similar in androgen insensitivity syndrome and Mullerian agenesis except
1. Absent Mullerian duct
2. Absent Wolffian duct
3. Primary amenorrhea
4. Normal axillary hair

Correct answer: 4. Normal axillary hair

Explanation: Public and axillary hair is absent in androgen insensitivity syndrome, whereas normal in mullerian agenesis.